Glutathione requires which vitamin to act as antioxidant
1. Vitamin E
2. Niacin
3. Vitamin C
4. Vitamin A

Correct answer: 2. Niacin

Explanation: Glutathione peroxidase: It detoxifies H2O2 to H2O, while reduced glutathione (G SH) is converted to oxidized glutathione (GS SG). The reduced glutathione can be regenerated by the enzyme glutathione reductase utilizing NADPH The hexose monophosphate shunt is the major source of NADPH. ref Satyanarayana 4th ed page 659